Chloroquine is used in the treatment of
1. DLE
2. Pemphigus
3. Psoriasis
4. Nummular eczema

Correct answer: 1. DLE